Which of the following is most often involved in Multiple Endocrine Neoplasia 1 (MEN 1):
1. Pituitary
2. Pancreas
3. Parathyroid
4. Thyroid

Correct answer: 3. Parathyroid

Explanation: Parathyroid